Doctrine of res ipsa loquitur means ?
1. Common knowledge
2. Medical maloccurance
3. Fact speaks for itself
4. Oral evidence

Correct answer: 3. Fact speaks for itself

Explanation: Ans. is 'c' i.e., Fact speaks for itself Doctrine of res ipsa loquitur It means "the thing or fact speaks for itself ". In a case of professional negligence of a physician, the patient need not prove negligence. It is applied when following conditions are fulfilled : That in the absence of negligence the injury would not have occurred ordinarily. That the doctor had exclusive control over the injury producing instrument or treatment. That the patient was not guilty of contributory negligence.